A comatose 28-year-old woman sustained a depressed skull fracture in an automobile collision. She has been unconscious for 6 weeks. Her vital signs are stable and she breathes room air. Following her initial decompressive craniotomy, she has returned to the operating room twice due to intracranial bleeding.select the best method of physiologic monitoring necessary for the patient.
1. Central venous catheterization
2. Pulmonary artery catheterization
3. Blood-gas monitoring
4. Intracranial pressure monitoring

Correct answer: 4. Intracranial pressure monitoring

Explanation: A patient who has suffered blunt head trauma requiring repeated surgeries for intracranial bleeding will likely be monitored with an intracranial pressure device. Other indications for intracranial pressure monitoring include subarachnoid hemorrhage, hydrocephalus, postcraniotomy status, and Reye syndrome. Measurement of intracranial pressure (ICP) allows the physician to determine and optimize the cerebral perfusion pressure (which is the difference between the mean arterial pressure and the ICP) Miller's anaesthesia 9th edition p654